The cerebral peduncle consists of all the following parts except
1. Crus cerebri
2. Substantia nigra
3. Tegmentum
4. Tectum

Correct answer: 4. Tectum

Explanation: Each half of the midbrain anterior to the aqueduct is called the cerebral peduncle. Each cerebral peduncle is subdivided into (a) The crus cerebri, anteriorly; (b) the substantia nigra, in the middle; and (c) the tegmentum, posteriorlyRef: BD Chaurasia; Volume 3; 6th edition; Brain; Page no: 328